A 3 days old neonate is brought by the mother to the pediatrician and is found to have a bilirubin of 18 g/dl. What is the next step?
1. Stop breastfeeding
2. Start phototherapy and continue breastfeeding
3. Start phototherapy and stop breastfeeding
4. Exchange transfusion

Correct answer: 2. Start phototherapy and continue breastfeeding

Explanation: b. Start phototherapy and continue breastfeeding(Ref: Nelson's 20/e p 873-74)First line of treatment for pathological neonatal jaundice is phototherapy; breastfeeding should be continued.